Commonest cause of intestinal obstruction in children is -
1. Intussusception
2. Volvulus
3. Hernia
4. Adhesions

Correct answer: 1. Intussusception

Explanation: Ans. is 'a' i.e., IntussusceptionIntussusceptiono Intussusception occurs when a portion of the alimentary tract is telescoped into an adjacent segment.o It is the most common cause of intestinal obstruction between 3 months and 6 year of age. o It is more common in males.o Intusssception may be --> i) Ileocolic (most common) ii) Cecocolic iii) Ileoilealo The upper portion of bowel that invaginates into lower portion is called intussusceptum. o Lower portion which recieves telescoped upper portion is called intussuscipiens.